All the following inflammatory mediators are derived from the cells except
1. Kinins
2. Cytokines
3. Histamine
4. Leukotriene

Correct answer: 1. Kinins

Explanation: . Kinins